Height of child acquires 100 cms in -
1. 2-5 years
2. 3-5 years
3. 4-5 years
4. 5-6 years

Correct answer: 3. 4-5 years

Explanation: O.P. Ghai 9th Edition : page - 13